Muscle to be affected commonly in thyroid ophthalmopathy is:
1. Superior rectus
2. Inferior rectus
3. Superior oblique
4. Inferior oblique

Correct answer: 2. Inferior rectus

Explanation: Ans. B: Inferior rectus In moderate active thyroid ophthalmopathy, the signs and symptoms are persistent and increasing and include myopathy. The inflammation and edema of the extraocular muscles lead to gaze abnormalities. The inferior rectus muscle is the most commonly affected muscle and patient may experience vertical diplopia on upgaze and limitation of elevation of the eyes due to fibrosis of the muscle.